Binge eating disorder is characterized by ?
1. Normal weight
2. Weight loss
3. Obesity
4. Self induced vomiting

Correct answer: 3. Obesity

Explanation: Ans. C. ObesityBinge eating disorder (BED) is characterized by insatiable cravings that can occur any time day or night, usually secretive, and filled with shame.There are no comPensatory mechanisms associated with the binge to get rid of calories, so individulas with BED are more likely to be overweight or obese, while patients with bulimia nervosa may be underweight, normal weight.